Which of the following drugs act on trabecular meshwork and affects the aqueous outflow?
1. Timolol
2. Pilocarpine
3. Brimonidine
4. Brinzolamide

Correct answer: 2. Pilocarpine